All of the following are features of episcleritis except:
1. Redness
2. Marked pain
3. Photophobia
4. Lacrimation

Correct answer: 2. Marked pain

Explanation: Ans. Marked pain